Animal hair are/have
1. Fine
2. Thin
3. Large scales
4. Thick cortex

Correct answer: 3. Large scales

Explanation: Animal hairs coarse and thick and have large scales